Safety muscle of larynx is:
1. Aryepiglotticus
2. Cricoarytenoid
3. Thyroarytenoid
4. Posterior cricoarytenoid

Correct answer: 4. Posterior cricoarytenoid

Explanation: Ans. D Posterior cricoarytenoidRef: Dhingra, 5thpg. 300* Posterior cricoarytenoid is the most important muscle of the larynx as it is the only abductor of vocal cord.* Paralysis of posterior cricoarytenoid will lead to adduction of vocal cord, which may lead to dyspnea resulting in death.